Superior Gluteal Nerve supplies all of the following muscles, except?
1. Gluteus Medius
2. Gluteus Minimus
3. Gluteus Maximus
4. Tensor fascia lata

Correct answer: 3. Gluteus Maximus

Explanation: Superior gluteal nerve innervates gluteus minimus, gluteus medius and tensor fascia lata. It arises from sacral nerve plexus, which is formed from anterior rami of 4th and 5th lumbar nerves and anterior rami of 1st, 2nd, 3rd and 4th sacral nerves. Gluteus maximus muscle is innervated by the Inferior gluteal nerve (L5,S1,S2 nerve root).